Which of the following decreases in a flight and fright situation?
1. Pupillary diameter
2. Blood pressure
3. Blood glucose
4. Airway resistance

Correct answer: 4. Airway resistance

Explanation: Airway resistance : Decreases Blood glucose : Increases Blood pressure : Increases Pupillary diameter : Increases (mydriasis)